The minimum age at which an individual is responsible for his criminal act is:
1. 7 years
2. 12 years
3. 16 years
4. 21 years

Correct answer: 1. 7 years

Explanation: The minimum age at which an individual is responsible for his criminal act is 7 years. Children under the age of 7 years may not be criminally prosecuted. Ref: Crime and Punishment Around the World, Page 306; Smart Study Series Forensic Medicine and Toxicology By Aggarwal, Pages 23-4; The Essentials of Forensic Medicine and Toxicology By Dr KS Narayan Reddy, Page 44